Key hole sign is seen in
1. Hydronephrosis
2. Posterior urethral valve
3. Ectopic ureter
4. PCKD

Correct answer: 2. Posterior urethral valve

Explanation: Key hole sign - Posterior urethral valve.
Crescent sign - Hydronephrosis.